Pressure sensation is carried by
1. A α fibres
2. Aβ fibres
3. Aγ fibres
4. Aδ fibres

Correct answer: 2. Aβ fibres